Pikes medium is used for transport of-
1. Staphylococci
2. Streptococci
3. Shigella
4. Vibrio

Correct answer: 2. Streptococci

Explanation: Ans. is 'b' i.e., Streptococci . Pike's media is the transport media for streptococci. Stuart's medium is transport media for Gonococci. . Cary-blair and V.R. media are transport media for V. Cholerae. . Sach' buffered glycerol saline for shigella.